Mesentric tumours are -
1. Usually solid
2. Usually cystic
3. Highly malignant
4. Highly vascular

Correct answer: 2. Usually cystic

Explanation: Mesentric tumors have been described as cystic in 40-60% of Cases.
Solid primary tumors of mesentry are rare.